Endoscope and bronchoscope instruments are under which category according to Spaulding classification
1. Critical item
2. Semi critical item
3. Noncritical item
4. None of the above

Correct answer: 2. Semi critical item

Explanation: Spaulding classification:}Proposed by Earl H. Spaulding}Categorized into 4 categories*Critical devices *Semi critical devices*Noncritical devices*Medical equipmentsCritical devices:(Infection risk - High)Medical devices that are intended to enter a sterile environment, sterile tissue or the vasculature. Example - Surgical instruments, Cardiac catheters}Reprocessing procedure*FDA classification - Sterilization by steam, plasma, or ethylene oxide, liquid sterilization acceptable if no other methods feasibleSemi critical devices:(Infection risk - High, intermediate)Medical devices that is intended to come in contact with mucous membrane or minor skin breaches. Example - Flexible endoscope, Respiratory equipments}Reprocessing procedure*FDA classification - Sterilization by desirable - High level disinfection acceptableNon-critical devices: (Infection risk - Low)Medical devices that comes in contact with intact skin.Example - Blood pressure cuff, Electrocardiogram electrodes.}Reprocessing procedure*FDA classification - Intermediate or low levelMedical equipment:(Infection risk - Low)Device or component of a device that does not typically come in direct contact with the patient.Example - Examination table}Reprocessing procedure*FDA classification - Low level disinfectant, use of sanitizer(Ref: Ananthanarayan 9th edition, p37)